Sister Mary Joseph nodule is most commonly seen with:
1. Ovarian cancer
2. Stomach cancer
3. Colon cancer
4. Pancreatic cancer

Correct answer: 2. Stomach cancer

Explanation: Stomach cancer Repeat from May 09 Sister Mary Joseph's nodule - is a periumbilical nodule or hard mass. - It is clinically quite valuable. It represents metastatic involvement of the paraumbilical nodes from intrapelvic or intraabdominal malignancies. - This finding was first reported in an article published in 1928 by W. J. Mayo. The article was based on an observation of Mayo's first surgical assistant, Sister Mary Joseph of St. Mary's Hospital. She observed that patients with this finding had a poor prognosis. "The .four most common tumors to present with this sign are - stomach (20%), - large bowel (14%), - ovary (14%), and - pancreatic tumors (11%). " Ref: - Dermatology secrets By James E. Fitzpatrick, John L Aeling p346; GI/liver secrets By Peter R. McNally